NSAID proposed to be acting inhibition of COX-3 is:
1. Nimesulide
2. Paracetamol
3. Ketorolac
4. Rofecoxib

Correct answer: 2. Paracetamol

Explanation: - Paracetamol or acetaminophen has antipyretic and analgesic activities but it lacks anti-inflammatory action. - It is presumed to become inactive by peroxides generated at the site of inflammation therefore, lacks anti- inflammatory action. - Some theories suggest that PCM acts on COX-3 receptors in brain. - A metabolite of paracetamol is assumed to work through vanilloid receptor TRPV-1.